According to the ICD-10 revision, for establishing a diagnosis of mania, the symptoms should persist for at least:
1. 1 week
2. 2 weeks
3. 3 weeks
4. 4 weeks

Correct answer: 1. 1 week

Explanation: Ans. a. 1 week (Ref: Niraj Alhuja 6/e p75- 76)According to the ICD-10 revision, for establishing a diagnosis of mania, the symptoms should persist for at least 1 week.Diagnostic Criteria of Manic EpisodeAbnormality and persistently elevated, irritable or expensive mood for >1 weekQ or need hospitalization>=3 of these hyperactivities:Decreased need of sleepsIncrease in goal orientated activityQ (social, spiritual, sexual, religious)Excessive involvement in pleasurable activitiesQ (unrestrained buying sprees, foolish business investments, donations or sexual indiscretion) that have a higher potential for painful consequencesMore talkative or pressure to keep talkingQInflated self esteem or grandiosityQDistractibilityQFlight of ideas or racing thoughtsQ